Which if the following statements are FALSE regarding Neuroleptic Malignant Syndrome (NMT)?
1. Combining Antipsychotics and Antidepressants increased the risk of NMS
2. Increase in Creatinine Phosphokinase (CPK) always indicates NMS
3. First use of Injection anti-psychotic in a risk factor
4. Catatonic symptoms and autonomic dysfunction is a feature of NMS

Correct answer: 2. Increase in Creatinine Phosphokinase (CPK) always indicates NMS

Explanation: Combining Antipsychotics and Antidepressants increased the risk of NMS : This is true. Combining more than one antipsychotics and combining them with anti-depressants can cause NMS. Increase in Creatinine Phosphokinase (CPK) always indicates NMS : This is false because CPK can be increased in normal individuals or even an effect of intra muscular injection. Catatonic symptoms and autonomic dysfunction is a feature of NMS: Hyperpyrexia, Catatonia, Autonomic instability and Hyperpyrexia are features of NMS First use of Injection anti-psychotic in a risk factor: First use of injection, rapid increase or decrease of dose of anti-psychotics are risk factors. Ref: Kaplan & Sadock's Synopsis of Psychiatry, By Benjamin J Sadock, M.D., Harold I. Kaplan, Virginia A Sadock, M.D, 10th Edition, Page: 996